Most popular acceptable theory for oxidative phosphorylation is ?
1. Semiconservative
2. Chemical coupling
3. Chemiosmotic theory
4. Physical coupling

Correct answer: 3. Chemiosmotic theory

Explanation: Ans. is 'c' i.e., Chemiosmotic theoryThe chemiosmotic coupling hypothesis is the most accepted theory which explains the mechanism of oxidative phosphorylation.It states that "free energy of electron transport" is conserved by pumping protons from mitochondrial matrix to the intermembrane space, so as to create an electrochemical proton gradient across the inner mitochondrial membrane, with outer side of membrane is positively charged as compared to inside. Electrochemical potential of this gradient is used to synthesize ATP by ATP synthase.